"Foli a deux" is
1. Delusion of doubles
2. Substance abuse disorder
3. Sharing delusion with one more person
4. Dissociation disorder

Correct answer: 3. Sharing delusion with one more person

Explanation: The person with delusion influences the other to develop same delusion.
2 persons sharing same delusion  - "Foli a deux".
3 persons sharing same delusion  - "Foli a trios".
Sharing a delusion to group of people : Pseudo community.